Most common complication of mumps in children:
1. Orchitis
2. Aseptic meningitis
3. Myocarditis
4. Pancreatitis

Correct answer: 2. Aseptic meningitis

Explanation: Most common complications of mumps are meningitis, with or without encephalitis, and gonadal involvement In adolescent and adult males, orchitis is second only to parotitis as a common finding in mumps. Orchitis is extremely rare in prepubescent boys